Which of following is not seen in nephritic syndrome
1. Edema
2. Hematuria
3. HTN
4. Hypocholesterolemia

Correct answer: 4. Hypocholesterolemia

Explanation: Hypercholesterolemia is not seen with nephritic syndrome. It is rather a feature of nephrotic syndrome All others hematuria , edema , hypertension are seen . Reference: GHAI Essential pediatrics, 8th edition